GTT post 1 hour sugar for gestational diabetes in>____ mg%?
1. 140
2. 180
3. 150
4. 200

Correct answer: 2. 180